Anticholinesterases are ineffective against
1. Belladonna poisoning
2. Carbamate poisoning
3. Postoperative ileus
4. Cobra bite

Correct answer: 2. Carbamate poisoning

Explanation: Refer katzung 11/e p 106,107 Anticholinergic drugs block the action of a neurotransmitter called acetylcholine. This inhibits nerve impulses responsible for involuntary muscle movements and various bodily functions. These drugs can treat a variety of conditions, from overactive bladder to chronic obstructive pulmonary disorder. These are ineffective against carbamate poisoning